The following statements concerning chorda tympani nerve are true except that it?
1. Carries secretomotor fibers to submandibular gland
2. Joins lingual nerve in infratemporal fossa
3. Is a branch of facial nerve
4. Contains postganglionic parasympathetic fibers

Correct answer: 4. Contains postganglionic parasympathetic fibers

Explanation: Chorda tympani nerve contains preganglionic parasympathetic fibers, not parasympathetic fibers. It synapses in the submandibular ganglion.